Southern blot is used to detect -
1. DNA
2. RNA
3. Protein
4. Ribosome

Correct answer: 1. DNA

Explanation: Ans. is 'a' i.e., DNA TechniqueSample analyzedGel usedProbeSouthern blotDNAQYesRadioactive DNAAllele specific oligonucleotide (ASO)DNANoAllele specific oligonucleotideMicroarraym-RNA or c-DNANoDNA probeNorthern blotRNAQYesDNA probeWestern (immuno) blotProteinQYesLabeled antibodySouth Western blotProtein DNANoDNA probeELISAProtein or antibodiesNoAntibodyQ (Specific for protein to be measured)ProteomicsProteinQYes--